Cabergoline is the drug of choice for
1. Parkinsonism
2. Alzheimer's disease
3. Prolactinoma
4. Galactorrhea

Correct answer: 3. Prolactinoma

Explanation: (C) Prolactinoma # Cabergoline:> Cabergoline is an ergot derivative.> FDA-approved for the treatment of hyperprolactinemia.> Cabergoline has been linked to valvular heart disease, an effect proposed to reflect agonist activity at the serotonin 5-HT2B receptor.> Dopamine agonist, bromocriptine mesylate, is often the initial drug of choice and may require high doses to achieve clinical improvement and shrinkage of prolactinomas.> It can lower the prolactin level in 70-100% of patients. While the evidence supporting the use of medication therapy first is largely based on uncontrolled observational studies, they do strongly support the use of these medications.> Agents other than bromocriptine have been used (Eg, Cabergoline, Quinagolide).> Cabergoline, in particular, probably is more effective and causes fewer adverse effects than bromocriptine. However, it is much more expensive.> Cabergoline is often used in patients who cannot tolerate the adverse effects of bromocriptine or in those who do not respond to bromocriptine.